Blood supply of breast:
1. Internal thoracic artery
2. Lateral thoracic artery
3. Intercostal artery
4. All

Correct answer: 4. All

Explanation: A i.e. Internal thoracic artery; B i.e. Lateral thoracici artery; C i.e. Inter costal artery